Naloxone is not used during resuscitation of a childwhose mother is on :
1. >Methadone
2. >Phenycyclidine
3. >Amphetamine
4. >Cocaine

Correct answer: 1. >Methadone

Explanation: Metandone "At the delivery of known opioid dependent women, naloxone should be avoided in resuscitation of the infant because it may precipitate seizures" Naloxone is used to reverse neonatal respiratory depression due to opioid use during labour. It should not be used in cases where mother is opioid dependent. It can result in withdraw! syndrome. When the mother is on opioids, fetus becomes opioid dependent in-utero and the use of naloxone in respiratory resuscitation may result in severe withdrawal symptoms. According to Goodman Gilman "In subjects who are dependent on morphine like opioids (methadone is pharmacologically similar to morphine) small subcutaneous doses of naloxone (5 mg) precipitate a moderate to severe withdraw! syndrome that is very similar to that seen after withdraw' of opioids, except that the syndrome appears within minutes after administration and subsides in about 2 hours."